Apple-jelly nodules is/are seen in -
1. Lupus vulgaris
2. DLE
3. Lichen planus
4. Psoriasis

Correct answer: 1. Lupus vulgaris

Explanation: On diascopy : small translucent reddish brown nodules in the borders are described as apple jelly nodules seen in lupus vulgaris iadvl textbook of dermatology, page 245